Agent used for eliciting diagnostic differentiation of Myasthenia Gravis from Cholinergic crisis is
1. Neostigmine
2. Ecothiophate
3. Edrophonium
4. Ambenonium

Correct answer: 3. Edrophonium

Explanation: Edrophonium test * Edrophonium test is used to distinguish between Myasthenic crisis of autoimmune Myasthenia Gravis and Cholinergic crisis. * Edrophonium is a short acting reversible non-carbamate Acetylcholinesterase inhibitor (indirectly acting cholinomimetic). * It is based on the scientific rationale that muscular weakness of myasthenic crisis (caused by inadequate cholinergic stimulation) dramatically improves on administration of Edrophonium. * In Cholinergic crisis - caused by overtreatment with anticholinesterases --> resulting in muscle weakness by induction of persistent depolarization, further administration of Edrophonium causes drastic worsening of muscle weakness. Ref:- Goodman & Gilman Pharmacological Basis of Therapeutics 13th Ed; Pg num:- 172